Man is dead end, except
1. Malaria
2. Tetanus
3. Rabies
4. Japanese Enaphalitis

Correct answer: 1. Malaria